Vitamin B 12  deficiency is likely to cause -
1. Bitemporal hemianopia
2. Binasal hemianopia
3. Heteronymous hemianopia
4. Centrocecal scotoma

Correct answer: 4. Centrocecal scotoma

Explanation: The predominant cause of nutritional optic neuritis is thought to be deficiency of B - complex vitamins, particularly thiamin (vitamin B1) and cyanocobalamin (Vitamin B12). Deficiency of pyridoxin (vitamin B6), niacin (vitamin B3), riboflavin (vitamin B2), and / or folic acid also seems to play a role.
Most common visual field defect is central or centrocaecal scotoma.